Ectopic rest of normal tissue is known as?
1. Hamartoma
2. Choristoma
3. Lymphoma
4. Teratoma

Correct answer: 2. Choristoma

Explanation: Ectopic rest of normal tissue is choristoma.
Abnormally arranged tissue present at normal site is hamartoma.